In the right middle ear pathology, weber's test will be
1. Normal
2. Centralized
3. Lateralised to right side
4. Lateralised to left side

Correct answer: 3. Lateralised to right side

Explanation: Right middle ear pathology means right conductive deafness. In conductive deafness, Weber is lateralized to the worse ear. (in question right ear) In SN deafness, Weber is lateralized to the better ear. Ref: Dhingra; 6th Edition; pg no 22